Which of the following is an important disinfectant on account of effectively destroying gram positive and gram negative bacteria, viruses and even spores at low pH levels -
1. Phenol
2. Alcohol
3. Chlorine
4. Hexachlorophene

Correct answer: 3. Chlorine

Explanation: Ans. is 'c' i.e., Chlorine